True statements about heparin are all EXCEPT:
1. It prolongs aPTT
2. Hyperkalemia is not seen
3. It can result in alopecia
4. It can cause thrombocytopenia

Correct answer: 2. Hyperkalemia is not seen

Explanation: Heparin can inhibit the synthesis of aldosterone and may result in hyperkalemia. All the other statements are true . From medical pharmacology padmaja 4th edition Page no 336